The most common malignant neoplasm of the kidney is the hypernephroma or renal cell carcinoma. Which of the following statement is true concerning renal neoplasms?
1. Most common mode of spread is lymphatic .
2. Gleason Grading is used in RCC .
3. A "tumour deformity" on IVP is diagnostic of a renal cell carcinoma
4. Renal cell carcinomas can produce a variety of hormone or hormone-like substances

Correct answer: 4. Renal cell carcinomas can produce a variety of hormone or hormone-like substances

Explanation: Most common route of spread- Hematogenous Lymphatic spread occurs when tumor extends beyond renal capsule Renal carcinomas can produce a variety of hormone or hormone-like substances (e.g., erythropoietin, renin, and parathormone) and may present with a variety of symptoms including anaemia, hypertension, fever and erythrocytosis. Renal masses such as benign cysts or renal cell carcinomas will both appear as "tumour deformities", distorting the renal outline or the collecting system on IVP .Renal cysts are far more common than renal cell carcinoma and the diagnosis can be confirmed by renal ultrasound. Named staging & Grading Robson staging , Fuhrman Grading - RCC Jackson staging - Ca Penis Gleason Grading - Ca Prostate